The following terms denote chronic poisoning syndromes , except
1. Iodism
2. Bromism
3. Plumbism
4. Carbolism

Correct answer: 4. Carbolism

Explanation: CHRONIC IODINE POISONING (Iodism): The symptoms are pain over the frontal sinus, running nose, conjunctivitis, bronchial catarrh , salivation, nausea, vomiting, purging, emaciation, lymphadenopathy, parotid swelling (iodide mumps), acne or erythematous patches on the skin, urticaria, etc. (ioderma). Chronic Bromide poisoning (Bromism): Clinically, bromism manifests with:* Skin rashes in the form of red papules (Bromine rash), similar to acne vulgaris, which may transform into a pustular lesion/ ulcerate at the hair roots (Bromoderma) , on the face , neckand upper part of chest. Chronic lead poisoning (Saturnism or Plumbism) A - Anaemia B - Burtonian line/Basophilic stippling, Bone lines C - Colic, Constipation (dry belly ache) D - Drop (wrist/Foot drop) - Lead palsy E - Encephalopathy F - Facial pallor (earliest sign) G - Gout (saturnine gout) H - Hypertension I - Impotence Carbolic acid poisoning: * Acute carbolic acid poisoning - carbolism * Oxidised to pyrocatechol and hydroxyquinone whose excretion is the cause of green colour urine (carboluria) * Chronic poisoning (Phenol marasmus) causes pigmentation of skin